Buprenorphine is:
1. partial agonist at mu Receptor
2. Partial agonist at kappa Receptor
3. Full Agonist at mu Receptor
4. Full Agonist at kappa Receptor

Correct answer: 1. partial agonist at mu Receptor

Explanation: Ref : Katzung 11/e p546 *Buprenorphine appears to be a partial agonist at mu Receptor and antagonist at kappa Receptor.